Medial epicondylitis is called?
1. Tennis elbow
2. Golfer's elbow
3. Student elbow
4. Miners elbow

Correct answer: 2. Golfer's elbow

Explanation: Golfer's elbow- Medial epicondylitis Tennis elbow- Lateral epicondylitis Student elbow/Miners elbow/Draughtsman's elbow- Olecranon bursitis (chronic inflammation of the olecranon bursa,as a result of repetitive minor injuries)